About acidic drug true is -
1. Best absorbed in acidic medium
2. Best absorbed in alkaline medium
3. Not absorbed in acidic medium
4. Binds to alpha glycoprotein

Correct answer: 1. Best absorbed in acidic medium

Explanation: Ans. is 'a' i.e., Best absorbed in acidic medium o Acidic drugs are largely unionized at acid pH and are absorbed from stomach. o Acidic drugs bind to plasma albumin (not alpha glycoprotein). - Remember 'A '(acid) for `A1(albumin).